The period of conditioning of sperms before fertilization is known as
1. Spermeation
2. Spermiogenesis
3. Capacitation
4. Spermatocytosis

Correct answer: 3. Capacitation

Explanation: Ans. c (Capacitation). (Ref. Ganong Physiology 22nd ed. 427; Human Embryology by IB Singh)# As fully formed spermatozoa pass through male genital passages they acquire motility (in epididymis) and undergo maturation.# Capacitation is a period of conditioning in the female reproductive tract that lasts for 7 hours. Much of this conditioning, which occurs in the uterine tube, entails epithelial interactions between the sperm and mucosal surface of the tube. During this time a glycoprotein coat and seminal plasma proteins are removed from the plasma membrane that overlies the acrosomal region of the spermatozoa. Only capacitated sperm can pass through the corona cells and undergo the acrosome reaction.# Process by which spermatid becomes spermatozoan is known as spermiogenesis (Spermatogenesis).# Formation of spermatozoa in stages in wall of seminiferous tubules of testis is Spermatogenesis.# The stages are: Spermatogonia (44 XY) >> primary spermatocytes (44 XY) >> secondary spermatocytes (22 X/Y) >> spermatid (22 XY).